Psammoma bodies shows which type of calcification -
1. Metastatic
2. Dystrophic
3. Secondary
4. Any of the above

Correct answer: 2. Dystrophic

Explanation: Ans. is 'b' i.e., Dystrophic